Mee's lines are seen in which poisoning?
1. Arsenic
2. Hg
3. Pb
4. Cadmium

Correct answer: 1. Arsenic

Explanation: Ans. a (Arsenic). (Ref. Harrison, Principles of Medicine, 18th/Table e49-l)ARSENIC DEFICIENCY can predispose toNeurologic dysfunction* GIT diseases* Skin cancer* Angiosarcoma of liver* NCPF* Yellow Fatty liverAcute arsenic poisoning results in* necrosis of intestinal mucosa with hemorrhagic gastroenteritis, fluid loss, hypotension, delayed cardiomyopathy, acute tubular necrosis, and hemolysis.* Lethal dose: 120-200 mg (adults); 2 mg/kg (children).Chronic arsenic exposure causes* Arsenic toxicity: Mee's lines* diabetes, vasospasm, peripheral vascular insufficiency and gangrene, peripheral neuropathy, and cancer of skin, lung, liver, bladder, kidney.Educational point:# Erythism: mercury6